National Rural Employment Guarantee Act (NREGA) was passed in:-
1. 1947
2. 1991
3. 2005
4. 2008

Correct answer: 3. 2005

Explanation: National Rural employment guarantee act (NREGA):- It was launched in 2005. NREGA aims at enhancing the livelihood security of people in rural areas by guaranteeing >hundred days of standard wage employment in a financial year. Job card is given.. Nature of work - manual, labor, unskilled.